The pseudomyxoma peritonei occurs as a complication the following ovarian tumours-
1. Serous cystadenoma
2. Mucinous cystadenoma
3. Dysgermmoma
4. Gonadoblastoma

Correct answer: 2. Mucinous cystadenoma

Explanation: - pseudomyxoma peritoni is a term used to describe the presence of mucoid material in the abdomen and pelvis surrounded by fibrous tissue. - it can result secondary to a ruptured mucinous tumor of the ovary. Reference : textbook of gynaecology Sheila balakrishnan, 2nd edition, pg no: 271